commonest benign tumor of the esophagus-
1. Leiomyoma
2. Papilloma
3. Adenoma
4. Hemangioma

Correct answer: 1. Leiomyoma

Explanation: • Leiomyoma is MC benign esophageal tumor.
• The average age 4th-5th decades, more common in males.
• Originate in smooth muscle, 90% are located in lower two thirds of the esophagus.
• Usually solitary and typically oval.
• They remain intramural, having the bulk of their mass protruding toward the outer wall
• The overlying mucosa is freely movable and normal in appearance.
Clinical Features
• Many leiomyomas are asymptomatic. Dysphagia and pain are MC symptoms.
• Location and size tend not to correlate consistently with symptoms
Diagnosis
• Barium swallow is IOC for leiomyoma (classical, smooth, contoured, punched-out defect)
• Endoscopy: Freely movable mass, which bulges into the lumen,
• Should not be biopsied because of an increased chance of mucosal perforation at the time of surgical enucleation.
Treatment
• Enucleation is TOC for leiomyoma.